Which of the following is an aromatase inhibitor?
1. Tamoxifen
2. Letrozole
3. Danazol
4. Taxane

Correct answer: 2. Letrozole

Explanation: Letrozole is an orally active nonsteroidal compound that reversibly inhibits aromatization all over the body Letrozole, anastrozole, fadrozole, exemestane, formestane etc are aromatase inhibitors Ref Essentials of medical Pharmacology TD Tripathi 7th edition page no.314)